Causes of antepartum hemorrhage are all except
1. Placenta previa
2. Atonic uterus
3. Abruptio placenta
4. Circumvallate placenta

Correct answer: 2. Atonic uterus

Explanation: Atonic uterus